Earliest & characteristic radiological finding of leukemia
1. Translucent transverse metaphyseal bands
2. Metaphyseal Osteosclerosis
3. Periosteal reaction
4. Metaphyseal cortical erosions

Correct answer: 1. Translucent transverse metaphyseal bands

Explanation: All the above are the findings of leukemia. But Earliest & characteristic finding is option A.